A person is responsible for his crime even if done under the influence of alcohol after becoming intoxicated with his own will, comes under
1. Sec 82 IPC
2. Sec 85 IPC
3. Sec 86 IPC
4. Sec 90 IPC

Correct answer: 3. Sec 86 IPC

Explanation: Refer the byte "Legal sections".